A lesion of the optic radiation involving the Meyer's loop causes which of the following type of visual field defect?
1. Homonymous hemianopia
2. Superior quadrantanopia
3. Inferior quadrantanopia
4. Central scotoma

Correct answer: 2. Superior quadrantanopia

Explanation: Lesion of the optic radiation produces congruous homonymous hemianopia. Lesion of Meyer's loop present in the temporal lobe produces superior quadrantanopia (pie in the sky). Lesion affecting the optic radiations in the parietal lobe produces inferior quadrantanopia. In lesions of the optic radiations visual acuity remains normal in the unaffected portion of the field. Lesions of the optic tract and lateral geniculate body produces a non congruous homonymous hemianopia. Lesions in the occipital cortex usually produce homonymous hemianopia affecting the contralateral visual field. Visual field abnormalities caused by vascular lesions in the occipital lobe may show sparing of macular vision. Macular sparing may also result from bilateral cortical representation of the macular region of the visual field. Ref: Clinical Neurology, 8e chapter 7.